Best investigation to see calcification is:
1. CT
2. MRI
3. X-ray
4. USG

Correct answer: 1. CT

Explanation: Ans: A (CT ?) Ref: Harrison !v Principles of internal medicine.18th edition.Explanation:CT is the best technique to detect pericardial calcification; however, overpenetrated films, conventional tomography, fluoroscopy, and MRI may be helpful.Plain radiographs have poor sensitivity for detection of coronary calcification and have a reported accuracy as low as 42%High-quality mammography is the best diagnostic tool for the identification of breast calcifications.